The commonest focus of Scrofuloderma is -
1. Lung
2. Lymph node
3. Larynx
4. Skin

Correct answer: 2. Lymph node